Corneal dystrophies are degenerations that are usually
1. Primary and unilateral
2. Primary and bilateral
3. Primary, bilateral with systemic involvement
4. Primary, unilateral without systemic involvement

Correct answer: 2. Primary and bilateral

Explanation: Ans. b. Primary and bilateral Corneal dystrophies are degenerations that are usually primary and bilateral. Corneal dystrophies are usually hereditary, bilateral and symmetrical, located centrally, without vascularization, early in onset and unrelated to any systemic or local disease or condition.- Corneal Dystrophies Corneal dystrophies are a group of genetic, often progressive, eye disorders in which abnormal material often accumulates in the clear (transparent) outer layer of the eye (cornea). Conical dystrophies may not cause symptoms in some individuals; in others they may cause significant vision impairment. Corneal dystrophies are usually hereditary, bilateral and symmetrical, located centrally, without vascularization, early in onset and unrelated to any systemic or local disease or condition All are autosomal dominant except macular dystrophy, which is autosomal recessive and associated with mucopolysaccharidosis. Corneal Dystrophies Corneal degenerations Usually hereditaryQ No inheritance patternQ BilateralQ UnilateralQ SymmetricalQ AsymmetricalQ Located centrallyQ Located peripherallyQ Without vascularizationQ Associated with vascularizationQ Early in onsetQ Onset in middle lifeQ Unrelated to any systemic or local disease or conditionQ Secondary to some compromising factors like ageing, inflammation, chemicals, trauma or systemic diseasesQ